Primary canine erupts:
1. After D
2. Before B
3. After B
4. After E

Correct answer: 1. After D